Uterine fibromyoma is associated with:
1. Endometriosis
2. Pelvic inflammatory disease
3. Ovarian Ca
4. Amenorrhea

Correct answer: 1. Endometriosis

Explanation: Diseases commonly associated with leiomyomas are:

Follicular cysts of ovary
Endometrial hyperplasia
Endometrial cancer
Endometriosis


It is sometimes said salpingitis (i.e. pelvic inflammatory disease) is a common finding in patients of fibroid, but it is not true, the only possible link between the two is infertility (so option "b" is ruled out)
Leiomyomas are associated with follicular cysts of ovaries (Not ovarian cancer-ruling out option "c").
Most common symptom of fibroid is menorrhagia and not amenorrhea (so obviously amenorrhea is not correct).
Now coming to the last option - Tamoxifen.
Tamoxifen causes Endometrial hyperplasia and Endometrial cancer, not Fibromyoma.